The CAGE questionnaire is to check toxicity after -
1. Alcohol
2. Nicotine
3. Opium
4. Heroine

Correct answer: 1. Alcohol

Explanation: Ans. is 'a' i.e., Alcohol o The CAGE questionnaire is a tool used to assess individuals for potential alcohol problems, including dependence. It is useful because it involves 4 simple questions, of which only 2 need to be answered positively for the individual to be indicated as possibly alcohol dependent. Do you ever feel like you should Cut down your drinking? (C) Do you ever feel Angry/Annoyed when people try to talk to you about drinking? (A) Do you ever feel Guilty as a consequence of drinking? (G) Do you ever need an Eye opener-a drink of alcohol in the morning - before you can function? (E) o The SAD-Q (severity of alcohol-dependent questionnaire) is more specific 20 questionnaires designed to measure the severity of alcohol dependence. There are five subscales with four items in each: Physical withdrawal, effective withdrawal, withdrawal relief drinking, alcohol consumption and rapidity of reinstatement Each item is scored on a 4 point scale, ranging from 'almost never ' to 'Nearly always resulting in a corresponding score to 3. Thus the total maximum score possible is 60 and the minimum is 0.